Fastest acting receptor/transduction mechanism is:
1. Adenylyl cyclase – cyclic AMP pathway
2. Phospholipase C–IP3 : DAG pathway
3. Intrinsic ion channel operation
4. Nuclear receptors

Correct answer: 3. Intrinsic ion channel operation